Which is not a complication of PUVA therapy
1. Skin cancers
2. Premature aging of skin
3. Cataracts
4. Exfoliation

Correct answer: 4. Exfoliation

Explanation: Complications of PUVA therapy Short-term side effects Nausea and vomiting Erythema, pruritus and xerosis Skin pain Pigmentation Central nervous system (CNS) side effects such as headache, dizziness, depression, insomnia and hyperactivity Reactivation of herpes Photo-onycholysis, melanonychia, friction blisters and ankle edema. Long-term side effects Photo aging Eye toxicity: This occurs as psoralens accumulate in the lens with an increased potential for cataract. Cutaneous malignancies: nonmelanoma skin cancer, particularly squamous cell carcinoma (SCC). Men exposed to PUVA have an increased risk of genital skin cancer.